Estrogen receptors are seen in
1. Microsomes
2. Membrane bound
3. Nucleus
4. Mitochondria

Correct answer: 3. Nucleus

Explanation: The estrogen receptor (ER) is a ligand-activated enhancer protein that is a member of the steroid/nuclear receptor superfamily.Two genes encode mammalian ER: ERa and ERb.ER binds to specific DNA sequences called estrogen response elements (EREs) with high affinity and transactivates gene expression in response to estradiolRef: DM Vasudevan, 7th edition, page no: 57